Most common site for carcinoma stomach is:
1. Antrum
2. Fundus
3. Lesser curvature
4. Greater curvature

Correct answer: 1. Antrum

Explanation: Answer is A (Antrum): The most common site of gastric adenocarcinoma is antrum '40% tumors are in the antrum, predominantly on the lesser curvature, 30% arise in the body and fimdus, 25% at the cardia and 5% involve the whole organ'- CSDT